Bag and mask ventilation is contraindicated in all except?
1. Transient tachypnea of newborn
2. Tracheo - esophageal fistula
3. Diaphragmatic hernia
4. Meconium aspiration syndrome

Correct answer: 1. Transient tachypnea of newborn

Explanation: Ans. is 'a' i.e., Transient tachypnea of newborn Bag and mask ventilation is contraindicated in* Diaphragmatic hernia,* Tracheo-esophageal fistula and* Meconium aspiration syndrome.